Branch of Right Coronary artery -a) Obtuse marginalb) Acute marginalc) Posterior interventriculard) Diagonal
1. ab
2. bc
3. cd
4. ad

Correct answer: 2. bc

Explanation: Branches of Right Coronary artery are
-        Acute marginal
-        Posterior descending/interventricular
-        Infundibular
-        Nodal branch (in 65%)
-        Atrial, anterior and posterior ventricular
 Branches of Left coronary artery are
-        Anterior descending/interventricular
-        Circumflex
-        Left diagonal
-        Obtuse marginal
-        Left conus
-        Nodal (in 35%)
-        Atrial, anterior and posterior ventricular